All are causes of primary amenorrhea EXCEPT
1. MRKH syndrome
2. Sheehan's syndrome
3. Kallmann's syndrome
4. Turner's syndrome

Correct answer: 2. Sheehan's syndrome

Explanation: Sheehan's syndrome Post partum pitutary necrosis. Occurs as a result of ischemic pituitary necrosis due to severe postpartum hemorrhage Presents as failure to lactate or to resume menses (Secondary amenorrhea) Other presentation: genital and axillary hair loss, asthenia and weakness, fine wrinkles around the eyes and lips, signs of premature aging, dry skin, hypopigmentation and other evidence of hypopituitarism.